A person is very impatient, competitive and works like a perfectionist. He/she can be best described as
1. Type A personality
2. Type B personality
3. Type C personality
4. Type D personality

Correct answer: 1. Type A personality

Explanation: Ans. is 'a' i.e., Type A personality Types of personalitiesA. Type A personality: - Type 'A' individuals are impatient, time-conscious, highly competitive, ambitious, hostile, and aggressive. They have difficulty in relaxing and are concerned about their status. Type A individuals are often highly achieving workaholics, who do multitask, drive themselves with deadlines and are unhappy about the smallest of delay. Type 'A behavior is expressed in three major symptoms:-i) Time urgency and impatience (Time pressure)ii) Free floating hostilityiii) CompetitivenessB. Type B personality: - Type B individuals are opposite of Type A. They are relaxed and easy going and have no sense of urgency. They do not get stressed (in contrast to Type A' individuals).C. Type C personality:- A type C personality is designated to individuals who appear to be Cancer prone and someone higher risk for developing cancer (e.g. breast cancer). They tend to be introverted, respectful, eager to please, and compliant.D. Type D personality:- This type of individual have increased level of anxiety, irritation and depressed mood. Type D personality is associated with increased risk of cardiovascular problems, e.g. recurrent MI or sudden cardiac death. People with type D personalities seem to have more highly activated immune system and more inflammation, which could mean more damage to blood vessels in the heart and throughout the body.